Pitting of nails is seen in – a) Lichen planusb) Psoriasisc) Pemphigusd) Arsenic poisoning
1. ab
2. a
3. ad
4. bc

Correct answer: 1. ab